Mivacurium false is
1. Hypertension
2. Increasing the dose produces rapid onset of action
3. Bronchospasm
4. Flushing RADIOLOGY

Correct answer: 1. Hypertension

Explanation: Hypertension Mivacurium belongs to non depolarizing blocker or competitive skeletal muscle relaxants. This class of drugs acts by competitively inhibiting the Nm receptors and thus causing relaxation. The action of these drugs can be reversed by anticholinesterase like neostigmine. Mivacurium is the only noridepglarising neuromuscular blocker that is metabolised by plasma cholinesterase. Mivacurium is the shortest acting non depolarizing muscle relaxant. The usual intubuting dose is *15-.2 mg/kg. Mivacurium causes histamine, release but it generally does not cause serious side effects except for small degree Mivacurium causes histamine release due to direct action on mast cells, release of histamine which leads to hypotension, flushing and bronchospasm. of hypotension. But when mivacurium is given in large doses to increase the onset of action it causes increased On increasing the dose, the onset of action is increased.